Drug of choice for impetigo herpetiformis is -
1. Prednisolone
2. Dapsone
3. Acitretin
4. Methotrexate

Correct answer: 1. Prednisolone

Explanation: Only indication for use of systemic steroids is generalized pustule psoriasis in pregnancy( impetigo herpetiformis). From illustrated synopsis of dermatology and sexually transmitted diseases neena khanna 5th edition page no 56